Which of the following adverse effect can occur even after the offending drug has been withdrawn a long time back ?
1. Paradoxical tachycardia
2. Tardive dyskinesia
3. Malignant hyperthermia
4. Gynaecomastia

Correct answer: 2. Tardive dyskinesia